All of the following statements about `Aprepitant' are true, except:
1. Agonist at Neurokinin receptor (NK1)
2. Crosses the blood brain barrier
3. Metabolized by CyP3A4 pathway
4. Ameliorates nausea and vomiting of chemotherapy

Correct answer: 1. Agonist at Neurokinin receptor (NK1)

Explanation: Ans is 'a' i.e. Agonist at Neurokinin receptor (NK1) Aprepitant is an antiemetic substance that belongs to a class of drugs called substance P antagonists. o The compound mediates its effect by blocking the neurokinim 1 (NK1) receptor. o Aprepitant crosses the blood brain barrier. o Aprepitant is used for chemotherapy induced nausea & vomiting (CINY), and post- operative nausea & vomiting (PONV). o After absorption aprepitant is bound extensively to plasma proteins (>95%); it is metabolized avidly, primarily by hepatic CYP 3A4 and is excreted in the stools.